All of the following are the feature of masked depression except
1. Body aches and pains
2. Gastrointestinal symptoms
3. Functional impairment
4. Depressed mood

Correct answer: 4. Depressed mood

Explanation: Ans. (d) Depressed moodAhuja 5th/81,109-110* Masked depression means hidden depression which practically means that the patient is having a depression which manifests in somatic symptoms like vague body aches, bowel complaints and inability to carry out normal activities. However, the mood is not depressed.